Most common genital lesion in HIV patient is -
1. Chlamydia
2. Hebrpes
3. Syphilis
4. Candida

Correct answer: 2. Hebrpes

Explanation: Herpes associated with HIV REF:ANANTHANARYANAN TEXT BOOK OF MICROBIOLOGY 9EDITION PGNO.469